One PHC is established per ____________ population in Tribal areas
1. 5000
2. 3000
3. 30000
4. 20000

Correct answer: 4. 20000

Explanation: Population norms for health centres in india Primary health care system ICDS system Centre Sub- centre PHC CHC Anganwadi Level of care Primary Primary Secondary - Population norm Plains Hilly/tribal areas 5000 3000 30,000 20,000 1,20,000 80,000 400-800 300-800